A definitive diagnosis of ascariasis can be made by observing which of the following
1. An adult worm passed during a bowel movement
2. Larvae in x-ray of lungs
3. Motile larvae in a stool sample
4. An eosinophilia in a differential white blood cell count

Correct answer: 1. An adult worm passed during a bowel movement

Explanation: Identification of adult worms passed by an individual can ensure a definitive diagnosis. Although an eosinophilia accompanies ascariasis, this condition can be caused by other infections and by various allergic conditions. Motile larvae in a stool are indicative of infection with Strongyloides stercoralis. Nematode larvae cannot be seen in an x-ray.